The neurotransmitter at the central synapse of stretch reflex circuit is:
1. Glycine
2. Glutamate
3. Substance P
4. None of the above

Correct answer: 2. Glutamate

Explanation: (B) Glutamate # Neurotransmitter at central synapse of stretch reflex circuit is Glutamate.> The sense organ for stretch reflex is muscle spindle.> Stretch reflex is a monosynaptic reflex.